Bile solubility is used for?
1. Differentiation of staphylococcus from streptococcus
2. Differentiation of group B streptococci from other streptococci
3. Differentiation of pneumococci from streptococci
4. Differentiation of streptococci from neisseria

Correct answer: 3. Differentiation of pneumococci from streptococci

Explanation: Bile solubility test In the presence of surface active agents such as bile and bile salts (sodium deoxycholate or sodium dodecyl sulfate), the cell wall of S.pneumoniae undergoes lysis. Other members of alpha-hemolytic streptococci are not lysed by the agents ( are bile insoluble) REF:Ananthanarayan & Panicker's Textbook of Microbiology 8th Edition pg no: 674